Trace element is what percent of body weight
1. 0.01%
2. 0.00%
3. 0.10%
4. 1%

Correct answer: 1. 0.01%